c-ANCA positivity indicates, antibody formed against:
1. Proteinase 3
2. Myeloperoxidase
3. Cytoplasmic antinuclear antibody
4. Anti centromere antibody

Correct answer: 1. Proteinase 3

Explanation: Answer is A (Proteinase 3): Proteinase - 3 (a 29 - kDA serine proteinase) present in neutrophil azurophilic granules is the major c-ANCA antigen. Major c-ANCA antigen Proteinase 3 (PR-3) Major p - ANCA antigen Myeloperoxidase (MPO)